Bilateral contracted kidneys are characteristically seen in which of the following condition?
1. Amyloidosis
2. Diabetes mellitus
3. Rapidly progressive (crescentic) glomerulonephritis
4. Benign nephrosclerosis

Correct answer: 4. Benign nephrosclerosis

Explanation: Benign nephrosclerosis occur secondary to atherosclerosis and hypertension. It is associated with bilateral small kidney. On histology there is narrowing of the arterioles and small arteries caused by thickening and hyalinization of the vessel walls. Thickening of the vessels cause diminished blood flow to the nephrons causing patchy tubular atrophy, interstitial fibrosis and a variety of changes in glomerular structure and function. Ref: Essentials of Pathophysiology: Concepts of Altered Health States By Carol Mattson Porth, Page 627; Concise Pathology By Chandrasoma P, Taylor C, 3rd Edition, Page 275; Robbins Pathologic Basis of Disease, 7th Edition, Page 992